Which of the following can be used as root canal filling materials
1. Cements and plastic materials
2. G.P. Points
3. Silver points
4. All of the above

Correct answer: 4. All of the above